Risk factors for coronary artery disease (CAD) -a) High HDLb) Low LDLc) Increased homocysteine levelsd) Decreased fibrinogen levelse) Increased lipoproeins
1. a
2. b
3. ac
4. ce

Correct answer: 4. ce